True among all is
1. Repressor is dimer and a positive regulator
2. CRP is gratuitous inducer
3. Lactose is positive regulator
4. Catabolite repression is mediated by CRP

Correct answer: 4. Catabolite repression is mediated by CRP

Explanation: Catabolite repression is mediated by CRP